Drug not used in prophylaxis of bipolar disorder ?
1. Haloperidol
2. Lithium
3. Carbamazepine
4. Valproate

Correct answer: 1. Haloperidol

Explanation: Ans. A. HaloperidolProphylactic treatment for bipolar disorder:Lithium (drug of choice)CarbamazepineValproateOther drugs which can be used are topiramate, Lamotrigine, atypical antipsychotics (apiprazale, olanzapine,quetiapine, risperidone, Clozapine) and Gabapentin.